Painless terminal hematuria is seen as one of the manifestations in the infection caused by ?
1. Schistosoma japonicum
2. Schistosoma mansoni
3. Schistosoma haematobium
4. Plasmodium falciparum

Correct answer: 3. Schistosoma haematobium

Explanation: Ans. is 'c' i.e., Schistosoma haematobium